A Patient with history of shortness of breath has, Decreased FEVI/FVC Ratio, Normal DECO. A 200 ml increase in baseline FEV1 is observed 15 minutes after administration of bronchodilators. The likely diagnosis is:
1. Asthma
2. Chronic Bronchitis
3. Emphysema
4. Interstitial Lung Disease

Correct answer: 1. Asthma

Explanation: Answer is A (Asthma) An obstructive pattern of PFTs with reduction in the ratio of FEV1; FVC along with demonstration of reversibility of airway obstruction (> 200 ml increase in baseline FEV1) after bronchodilator administration is typical of Asthma.